Platelets are derived from which of the following cell types?
1. Megakaryocytes
2. Lymphocytes
3. Neutrophils
4. Plasma cells

Correct answer: 1. Megakaryocytes

Explanation: Megakaryocytes are giant cells found in the bone marrow and are the source of circulating platelets. The megakaryocyte undergoes many rounds of DNA replication without undergoing cell division. Once DNA synthesis has stopped, the cytoplasm of the cell matures. Platelets bud from the main cell body of the megakaryocyte. Platelets lack nuclei and function in hemostasis, coagulation, and inflammation. Ref: Kaushansky K. (2010). Chapter 113. Megakaryopoiesis and Thrombopoiesis. In J.T. Prchal, K. Kaushansky, M.A. Lichtman, T.J. Kipps, U. Seligsohn (Eds),Williams Hematology, 8e.